Acute cellular rejection following solid organ transplantation occurs:
1. Within minutes to hours of transplantation
2. Within 48 hours of transplantation
3. Between 5 to 30 days of transplantation
4. Beyond 30 days after transplantation

Correct answer: 3. Between 5 to 30 days of transplantation

Explanation: Ans. (c) Between 5 to 30 days of transplantationRef: Bailey 26th edition, Pages 1408-1412* Hyperacute - minutes to hours* Acute (Cellular rejection): Most common in 5-30 days (first 6 months)* Chronic rejection after 6 months (Most common cause of graft failure)